Which of the following does not cross the cell membrane :
1. Glucose-6-phosphate
2. Glucose
3. Nitrous oxide
4. Carbon monoxide

Correct answer: 1. Glucose-6-phosphate

Explanation: A i.e. Glucose-6-phosphate Glucose-6-phosphate cannot cross the cell membrane unless it in converted into Glucose by the enzyme - Glucose-6-phosphatase.QVon Gerkes disease in deficiency of Glucose-6-phosphatase leads to accumulation of glucose-6-phosphate (and hence glycogen in the liver). In the absence of this enzyme, glucose-6-phosphate is not converted into glucose and thus cannot enter the blood leading to hypoglycemia.